Tinea incognito is seen with –
1. Steroid treatment
2. 1% BHi3
3. 5% permethrin
4. Antibiotics

Correct answer: 1. Steroid treatment

Explanation: Tinea incongnito is due to inappropriate use of topical corticosteroids.